Sterilization accuracy is assessed by using:
1. Clostridium perfringenes
2. Geobacillus stereothermophilus
3. Staphylococcus aureus
4. Clostridium botulinum

Correct answer: 2. Geobacillus stereothermophilus

Explanation: Geobacillus stereothermophilus and Bacillus subtilis subsp. Niger are used as biological indicators in sterilization.